Selection bias can be eliminated by?
1. Randomization
2. Single blinding
3. Double blinding
4. Matching

Correct answer: 1. Randomization

Explanation: ANSWER: (A) RandomizationREF: Park 20th edition page 68, 69, 70Three key procedures are used to minimize bias in experimental studies: Randomization (against selection bias, blinding (against assessment bias) and a priori definition of the statistical analysis i.e before the results are known (against the analysis bias)(REF: Clinical Research Informatics by Rachel L. Richesson, James E. Andrews Page 68)Two strategies are used to reduce selection bias: allocation concealment and randomization,(REF: Textbook of Interventional Neurology byAdnan I. Qureshi, Alexandros L. Georgiadis 2011 edition Page 456)